Which of the follow ing drug need not be stopped before surgery -
1. High Dose Aspirin
2. Warfarin
3. Metformin
4. Digitalis

Correct answer: 4. Digitalis

Explanation: Ans. is 'd' i.e., Digitalis PRE-OPERATIVE MODIFICATION OF PRE-EXISTING DRUGS Drug to be stopped Drug which can continue till the day of surgery o High dose Aspirin -1 week before surgery' o Anti anginal (except aspirin) o Oral anticoagulant - 4 days before and switch over to heparin which is stopped 12 hours prior to surgery o Antiepileptics o Antihypertensives (except AT-II antagonists) o Levodopa o Oral hypoglycemic (metformin) - 48 hours before surgery and switch to insulin o Digitalis o Tricyclic antidepressants. o AT-II antagonist (Losartan, Valsartan) - 1 day prior Low Dose Aspirin o Lithium -48-72 hours before surgery o MAO inhibitors - 3 weeks before surgery